A diet deficient in calcium will result in:
1. Stimulation of the thyroid gland
2. Increased ability to cross-link fibrin
3. Production of Calcitonin and a Low blood calcium level
4. Production of parathyroid hormone and bone resorption

Correct answer: 4. Production of parathyroid hormone and bone resorption